Bacteremia is the characteristic feature of
1. Enteric fever
2. Shigellosis
3. Cholera
4. Diphtheria

Correct answer: 1. Enteric fever

Explanation: (A) Enteric fever # Typhoid fever (Enteric fever): is an illness caused by the bacterium Salmonella enterica serovar typhi. Common worldwide, it is transmitted by the feco-oral route -- the ingestion of food or water contaminated with feces from an infected person> Pathophysiology: Following ingestion of an infectious dose of at least 10,000 bacteria, mucosal penetration occurs in the distal ileum resulting in a transient, asymptomatic bacteremia. The organisms survive and multiply within mononuclear phagocytes located in lymph nodes, spleen, liver, and bone marrow.> The clinical phase of the disease begins within 1-3 weeks, resulting from persistent bacteremia.> Hematogenous spread to ileal Peyer patches and the gall bladder reintroduces bacteria to the gut lumen and stool cultures again become positive, allowing continued fecal-oral spread of the disease.> Mucosal ulceration overlying hyperplastic Peyer patches in the ileocecal region may result in pain, diarrhea, bleeding, and occasional perforation.> Shigellosis and cholera are acute diarrheal diseases without Bacteraemia.> Diphtheria is an acute febrile URTI.